Which of the following has highest relative risk for placental abruption
1. Chorioamnionitis
2. Thrombophilia
3. Prior abruption
4. Preterm rupture of membrane

Correct answer: 3. Prior abruption

Explanation: Relative Risk for placental abruption is seen with prior abruption > Thrombophilia > Chorioamnionitis > PROM.